All of the following factors predispose to Aortic dissection, Except:
1. Systemic hypertension
2. Coarctation of aorta
3. In Ist trimester pregnancy
4. Takayasu's arteritis

Correct answer: 3. In Ist trimester pregnancy

Explanation: Answer is C (In 1st trimester pregnancy) Aortic dissection is predisposed during Third trimester of pregnancy and not during the first trimester of pregnancy Risk factors / Predisposing factors for Aortic Dissection Systemic Hypertension and cystic medial necrosis Connective Tissue Disorders - Marfan's Syndrome - Ehler's Danlos Syndrome Inflammatory Aoititis - Takayasu arteritis - Giant cell arteritis Congenital Aortic Valve abnormalities - Bicuspid Aortic Valve Coarctation of Aorta Aortic trauma Third trimester of pregnancy